Moth eaten alopecia is seen
1. Black dot tinea
2. Telogen effuvium
3. Alopecia areata
4. Secondary syphilis

Correct answer: 4. Secondary syphilis

Explanation: The hair loss can be moth-eaten, diffuse or both. The "moth-eaten" pattern is the most common type and is considered to be a pathognomonic manifestation of secondary syphilis. The alopecia, which is nonscarring, can occasionally affect hair-bearing areas other than the scalp Ref Davidson 23rd edition pg 238